All of the following are nonselective beta blockers with additional actions except -
1. Carvedilol
2. Betoxalol
3. Carteolol
4. Labetolol

Correct answer: 2. Betoxalol

Explanation: Ans. is 'b' i.e., Betoxalol